Which of the following metabolic pathways does not generate ATP
1. Glycolysis
2. TCA cycle
3. Fatty acid oxidation
4. HMP pathway

Correct answer: 4. HMP pathway

Explanation: HMP shunt 

ATP is not produced in HMP shunt.